Culex mosquito is associated with the transmission of-a) Malariab) Filariasisc) Dengued) Japanese encephalitise) Typhus
1. c
2. d
3. bd
4. ac

Correct answer: 3. bd

Explanation: Option a: Malaria transmitted by – Anopheline mosquito
Option b and d: Filariasis and Japanese encephalitis transmitted by – Culex mosquito
Option c: Dengue transmitted by – Aedes aegypti.
Option e: Typhus transmitted by - Louse and Flea